Most common primary malignant tumour of parotid gland
1. Warthin tumour
2. Mucoepidermoid Cancer
3. Acinic cell Cancer
4. Adenoidcystic carcinoma

Correct answer: 2. Mucoepidermoid Cancer

Explanation: - Most common primary malignant tumor of parotid gland is Mucoepidermoid carcinoma - Mucoepidermoid carcinoma Malignant neoplasm of variable biological aggressiveness Composed of a mixture of squamous, mucous secreting & intermediate cells.